Hemivertebra is a defect of
1. Body
2. Transverse process
3. Spine
4. Posterior vertebral arches

Correct answer: 1. Body

Explanation: Vertebral bodies mainly develop from ventral sclerotome (VS) & thus hemivertebra is a defect of VS Hemivertebra can lead to defects in the vertebral column - scoliosis. Posterior vertebral arches (PVA) contribute mainly to the lamina & spines. PVA are contributed by the dorsal sclerotome.